Caseous necrosis not found in?
1. Tuberculosis
2. coccidioidomycosis
3. CMV
4. Histoplasmosis

Correct answer: 3. CMV

Explanation: Caseous necrosis is characteristic of tubercular granuloma, rare in others type of granulomatous disease. TB granuloma is a prototype of immune granuloma. These are caused by insoluble particles; typically microbes that are capable of inducing a cell-mediated immune response. Granulomatous lesions may develop in the liver in CMV infection in leprosy, sarcoidosis, Crohn's disease etc we see non-caseating granuloma ref robbins pathology 9th ed page 98